Most specific immunohistochemical marker for melanoma cells is
1. S-100
2. Melan-A
3. HMB-45
4. Chromogranin

Correct answer: 3. HMB-45

Explanation: HMB-45 is the most specific for melanoma cells.
S-100 is the most sensitive marker.